Which one of the following inhalational anaesthetics is most likely to cause fluoride ion nephrotoxicity ?
1. Methoxyflurane
2. Enflurane
3. Halothane
4. Isoflurane

Correct answer: 1. Methoxyflurane